Lateral dislocation of patella is prevented by
1. Rectus femoris
2. Vastus medialis
3. Vastus lateralis
4. Vastus intermedius

Correct answer: 2. Vastus medialis

Explanation: The lateral border provides insertion to vastus lateralis in its upper one-third or half. The medial border provides insertion to the vastus medialis in its upper two-thirds or more. Ref : B D Chaurasia's Humsn Anatomy , seventh edition , volume 2 , pg, no. 22